The first step in alcohol metabolism by the liver is the forma on of acetaldehyde from alcohol, a chemical reaction catalyzed by
1. Cytochrome P450
2. NADPH-cytochrome reductase P450
3. Alcohol oxygenase
4. Alcohol dehydrogenase

Correct answer: 4. Alcohol dehydrogenase